A patient was placed on depot medroxy progesterone acetate. She now complains of irregular spotting. All of the following can be a treatment option except
1. Add combined OCPs for 4 weeks.
2. Give Mefenamic acid for 1 weeks.
3. Give premarin for 4 weeks.
4. Place progestin -  only implant.

Correct answer: 4. Place progestin -  only implant.

Explanation: DMPA or Progestin implants both being progesterone preparations cause AUB.